Rorschach test measures -
1. Intelligence
2. Creativity
3. Personality
4. Neuraticism

Correct answer: 3. Personality